A patient was found in a locked room having labored breathing, kerosene-like smell, pin-point pupils, frothing from mouth, cyanosed and pulse rate of 40/min. Likely diagnosis is:
1. Cocaine poisoning
2. Opium poisoning
3. Organophosphorus poisoning
4. Alcohol poisoning

Correct answer: 3. Organophosphorus poisoning

Explanation: Ans. Organophosphorus poisoning